Pelvic diaphragm is formed by the following muscles:
1. Pubococcygeus
2. Iliococcygeus
3. Pubovaginalis
4. All of the above

Correct answer: 4. All of the above

Explanation: The pelvic diaphragm forms a broad muscular sling and provides substantial support to the pelvic viscera. This muscle group is comprised of the levator ani and the coccygeus muscle. The levator ani is composed of the pubococcygeus, puborectalis, and iliococcygeus muscles. The pubococcygeus muscle now is preferably termed the pubovisceral muscle and is subdivided based on points of insertion and function. These include the pubovaginalis, puboperinealis, and puboanalis muscles, which insert into the vaginal, perineal body, and anus, respectively. Ref: Leveno K.J., Hauth J.C., Rouse D.J., Spong C.Y. (2010). Chapter 2. Maternal Anatomy. In K.J. Leveno, J.C. Hauth, D.J. Rouse, C.Y. Spong (Eds), Williams Obstetrics, 23e.